Which of the following statements is true regarding testicular tumors?
1. Are embryonal cell carcinomas in 95% of cases
2. Bilateral in upto 10% cases
3. Teratomas are more common than seminomas
4. None

Correct answer: 4. None

Explanation: Ans. is None None of the given options are true Option 'a' : Embryonal cell carcinomas constitute only 20%. Option 'c' : Seminomas are much more common than teratomas. Seminomas constitute 35% (according to Smith's Urology) & teratomas 5%. Option 'd' Testicular tumors usually present in 3rd & 4th decade Option 'b' : Testicular tumors are bilateral in about 2% of cases